The common cause of subarachnoid hemorrhage Is
1. Arterio-venous malformation
2. Cavernous angioma
3. Aneurysm
4. Hypertension

Correct answer: 3. Aneurysm

Explanation: *Subarachnoid hemorrhage commonly,but exclusively results from rupture of congenital berry aneurysms in the interpeduncular cistern . Subarachnoid haemorrhage, a medical emergency, is usually from a bulging blood vessel that bursts in the brain (aneurysm). It may lead to permanent brain damage or death if not treated promptly Ref Harrison20th edition pg 2567